Which neurotransmitter is responsible for Barbiturates action?
1. Glutamate
2. Glycine
3. Aspartate
4. GABA

Correct answer: 4. GABA

Explanation: Ans. D. GABABarbiturates act on GABA receptor and facilitate the function of GABA by increasing the duration of opening of Chloride channels and thus showing an inhibitory effect. On the other hand, BZD increases the frequency of opening of Cl- channel.